Source and reservoir are same for which infection -
1. Rabies
2. Tetanus
3. Typhoid
4. Measles

Correct answer: 2. Tetanus

Explanation: Ans. is 'b' i.e., Tetanus Source & reservoir are same - Tetanus spores survive in soil (reservoir) and a person acquires infection directly from soil (source). So, soil acts as reservoir as well as source.Source & reservoir different - In typhoid, bacillus survives and multiplies inside human cases or carriers (act as reservoir), but immediate source of infection is feces or urine of patients, or contaminated food, water or milk (act as source).